Most common lymphoma associated with Sicca syndrome is -
1. MALToma
2. Burkitt lymphoma
3. DLBCL
4. Lymphoplasmacytic lymphoma

Correct answer: 1. MALToma

Explanation: Ans. is 'a' i.e., MALToma o The most common histologic subtype of non-Hodgkin lymphoma in Sjogren syndrome is mucosa-associated lymphoid tissue (MALT) lymphoma, which can develop in any non-lymphoid tissue infiltrated by periepithelial lymphoid tissue-most commonly the salivary' glands, but also the stomach, nasopharynx, skin, liver, kidneys, and lungs.